Golden colour amniotic fluid is seen in :
1. Rh incompatibility
2. Foetal death
3. IUGR
4. Foetal distress IUGR

Correct answer: 1. Rh incompatibility

Explanation: Ans. is a i.e. Rh incompatibility Colour of amniotic fluid Pregnancy -- Colourless Near term -- Pale straw coloured due to presence of exfoliated lanugo hairs and epidermal cells from the fetal skin. Abnormal colour -- Green - meconium stained - fetal distress/breech or transverse position/Listeria infection -- Golden yellow Rh incompatibility (Because bilirubin levels are increased in amniotic fluid in case of Rh incompatibility). -- Greenish yellow (saffron) - post maturity. -- Dark coloured - concealed hemorrhage. -- Dark brown (tobacco juice) - in case of IUD.